Kayser Fleischer ring occurs at
1. Epithelium
2. Descemet's membrane
3. Endothelium
4. All of the above

Correct answer: 2. Descemet's membrane

Explanation: (Descemet's membrane) (410-Khurana 4th)Kayer- Fleischer ring - is a golden- brown ring which occurs due to deposition of copper (Chalcosis) under peripheral parts of the Descement's membrane of the cornea* K. F. ring seen in a patients of with liver cirrhosis or ataxia can confirm the presence of wilson's disease (507- Parson 20th edition)